Bone tumour that typically affects the epiphysis of a long bone?
1. Osteosarcoma
2. Ewing's sarcoma
3. Chondroblastoma
4. Chondromyxoid fibroma

Correct answer: 3. Chondroblastoma

Explanation: Rare neoplasmTypically located in epiphysis of long boneOther epiphyseal origin tumors are:i. Osteoblastomaii. Subchondral cyst